Renal Calculi associated with proteus infection is?
1. Uric Acid
2. Triple Phosphate
3. Calcium oxalate
4. Xanthine

Correct answer: 2. Triple Phosphate

Explanation: Triple phosphate stones are produced secondary to infection by Proteus mirabilis which is a urease producing bacteria. Ref: Radiological Imaging of the Kidney By Emilio Quaia, Page 403; Bailey 24th Edition, Page 1319; Schwartz 8th Edition, Page 1547; Clinical Pediatric Urology 4th Edition, Page 1238